Bronze baby syndrome is due to -
1. Phototherapy
2. Wilson disease
3. Chloramphenicol toxicity
4. Hemochromatosis

Correct answer: 1. Phototherapy

Explanation: Ans. is 'a' i.e., Phototherapy Bronze baby syndrome ? It refers to dark grayish brown discoloration of the skin in infants undergoing phototherapy. Almost all infants observed with this syndrome have had a mixed type of hyperbilirubinemia with significant elevation of direct reacting bilirubin and often with other evidence of obstructive liver disease. Other complications of phototherapy Loose stool o Erythematous macular rash Purpurich rash associated with transient porphyrinemia. o Retinal damage. Increase in environment and body temperature